Insipisation is used to sterilise?
1. Needles
2. Endoscopes
3. Scissors
4. Culture medium

Correct answer: 4. Culture medium

Explanation: Media such as Lowenstein-Jensen and Loeffler serum are rendered sterile by heating at 80-85degC for half an hour on three successive days in an inspissator REF:Ananthanarayan & paniker's textbook of Microbiology 9th edition page no 30